Vasopressin is synthesized in the:
1. Anterior pituitary
2. Hypothalamus
3. Juxtaglomerular apparatus
4. Vasomotor centre

Correct answer: 2. Hypothalamus

Explanation: Vasopressin.
Vasopressin, also called antidiuretic hormone, is even more powerful than angiotensin II as a vasoconstrictor, thus making it one of the body’s most potent vascular constrictor substances. It is formed in nerve cells in the hypothalamus of the brain but is then transported downward by nerve axons to the posterior pituitary gland, where it is finally secreted into the blood.
Reference: GUYTON AND HALL TEXTBOOK OF MEDICAL PHYSIOLOGY, THIRTEENTH EDITION(INTERNATIONAL EDITION ) page no 1014